What is the number of Barr bodies seen in cells of person with Klinefelter syndrome?
1. 0
2. 1
3. 2
4. 3

Correct answer: 2. 1

Explanation: Number of Barr bodies = (N - 1)
N is the number of x chromosomes.
Klinefelter syndrome - 47 XXY
Barr bodies = (2 - 1) = 1